Which of the following reflexes is not present at birth?
1. Asymmetric Tonic Neck Reflex
2. Moro's Reflex
3. Symmetirc Tonic Neck Reflex
4. Crossed Extensor Reflex

Correct answer: 3. Symmetirc Tonic Neck Reflex

Explanation: Out of all the options given Symmetric Tonic Neck Reflexes is the only reflex not present at birth and is seen between 4-6 months of age. Ref: Neuroanatomy for the Neuroscientist, By Stanley Jacobson, Elliott M. Marcus - Pg 192; Essential Pediatrics, OP Ghai - 6th Edition, Page 146